A 35-years-old man Ramu has fasting and postprandial blood sugar within normal limit but urine sugar is 3 plus (+++). The diagnosis is -
1. Renal Glycosuria
2. Pancreatic insufficiency
3. Alimentary glycosuria
4. High carbohydrate diet taken in the morning

Correct answer: 1. Renal Glycosuria